In Equivalent concentrations, steroids are more potent in which form -
1. Gel
2. Cream
3. Ointment
4. Lotion

Correct answer: 3. Ointment

Explanation: Ans. is 'c' i.e., Ointment In general, ointment preparation are most potent due to their occlusive properties. Order of potency of topical steroids :- Ointment (most potent) > Foams > Creams > Pastes > Powders > Aerosols > Gels > Lotions > Wet dressings > Tinctures (least potent).